4 years old child having palpable abdominal mass & hypertension with sweating and diarrhea is due to -
1. Neuroblastoma
2. Nephroblastoma
3. PCKD. (Polycystic kidney disease)
4. All of the above

Correct answer: 1. Neuroblastoma

Explanation: Ans. is 'a' i.e., NeuroblastomaNeuroblastoma - (Ghai 7th/ep. 590)o M.C. Intraabd solid tumor in children,o M.C. site of primary tumor:# Adrenal gland (30%)o Paravertebral retroperitoneal (28%)o Metastasis usually skeletal (facial bone/skull).o May be associated with sweating, diarrhea, hypertension. Cerebellar sign, opsoclonus.Wilms Tumor (Nebroblastoma) - (Ghai 7th/ep. 591)o M.C. malignant tumor of kidney,o Present in early childhood,o Abdominal mass.o May have hematuria, hypertension, abd. pain, fever.PCKD - (Ghai 7th/e p. 471)o Infantile form & adult form,o Infantile-ARo Adult - ADTnt. with abdominal cystic mass.